Renal artery is a branch of:
1. Celiac trunk
2. Abdominal aorta
3. Superior mesenteric artery
4. Internal iliac artery

Correct answer: 2. Abdominal aorta

Explanation: Ans. B. Abdominal aortaRenal artery is a branch of abdominal aortaThe abdominal aorta has following branches:3 single anterior visceral branches (coeliac, superior mesenteric artery, inferior mesenteric artery)3 paired lateral visceral branches (suprarenal, renal, gonadal)5 paired lateral abdominal wall branches (inferior phrenic and four lumbar)3 terminal branches (two common iliac arteries and the median sacral artery)